Due to high viscosity of viscous gel etchants, areas are left where etchant does not flow. This is known as:
1. Skipping effect
2. Dripping effect
3. Trapping effect
4. None of the above

Correct answer: 1. Skipping effect